Medulloblastoma most common metastasis is to -
1. Lung
2. CNS
3. Liver
4. Spleen

Correct answer: 2. CNS

Explanation: Medulloblastoma spread through CSF and frequently metastasizes to different locations in the brain and spine.
Extraneural metastasis to the rest of the body is rare.
Medulloblastoma is an infratentorial tumor and occurs exclusively in the cerebellum.

Medulloblastoma

Medulloblastoma is an infratentorial tumor.
The tumour occurs predominantly in children and exclusively in the cerebellum.
Tumour metastasizes through the CSF to the distant sites as bones or bone marrow.
Radiotherapy improves the survival in children. Craniospinal irradiation (CS1) is given and reduced the recurrence from CSF dissemination.
The tumour should be surgically excised.
The bad prognostic factors of the medulloblastoma are age < 3yrs, CSF dissemination, and extent of resection.